A 35 yrs old with a history of asbestos exposure presents with chest pain. X-ray shows a solitary pulmonary nodule in the right lower zone. CECT reveals an enhancing nodule adjoining the right lower costal pleura with comet tail sign and adjacent pleura with comet tail sign and adjacent pleural thickening. The most likely diagnosis is:
1. Mesothelioma
2. Round atelectasis
3. Pulmonary sequestration
4. Adenocarcinoma

Correct answer: 2. Round atelectasis

Explanation: B i.e. Round atelectasis Round atelectasis (folded lung or atelectatic asbestos pseudotumor) characteristically presents with comet tail signQ i.e. the presence of crowding of bronchi & blood vessels that extend from the border of the mass of collapsed lung to the hilum like a tail of comet.